Not a nucleic acid test?
1. Western blot
2. Southern blot
3. Northern blot
4. Microarray

Correct answer: 1. Western blot

Explanation: Ans. is 'a' i.e., Western blot